Cherry blossom appearance is a feature of:
1. Normal salivary gland
2. Sjogren’s syndrome
3. Ptyalism
4. Sialolithiasis

Correct answer: 2. Sjogren’s syndrome

Explanation: Sialography may be of diagnostic value in Sjogren’s syndrome. Sialographs demonstrate the formation of punctate, cavitary defects which are filled with radiopaque contrast media. These filling defects have been said to produce a ‘cherry blossom’ or ‘branchless fruit-laden tree’ effect radiographically. 
Ref: Shafer's textbook of oral pathology 7th edition page 251